The histological appearance of "lava following around boulders in dentin dysplasia" suggests
1. Attempt to repair the defective dentin
2. Abrupt arrest to dentin formation in crown
3. Abnormal dentin formation in a disorganized fashion
4. Cascades of dentin to form root

Correct answer: 4. Cascades of dentin to form root